Most serious side effect of valproate is
1. Fulminant hepatits
2. Spina bifida
3. Weight gain
4. Thrombocytopenia

Correct answer: 1. Fulminant hepatits

Explanation: Ans. is 'a' i.e., Fulminant hepatits Valproate Valproate acts by multiple mechanism : Prolongation of inactivated Na* channel. Inhibition of T type Ca' current. Inhibition of degradation of GABA by GABA transminase - facilitation of GABA mediated Cl- channel opening. Its most serious adverse effect is fulminant hepatitis especially in children below 3 years. Used during pregnancy, it has produced spina bifida and other neural tube defects. Uses (other than epilepsy) --> mania & bipolar illness, prophylaxis of migraine, trigeminal neuralgia, tardive dyskinesia. Adverse effect of Valproate Neurological - Ataxia, sedation,tremor Systemic- Hepatotoxicity, thromobocytopenia,GI irritation, weight gain, transient alopecia, hyperammonemia, pancreatitis,coagulation disorder.